TRUE about folic acid and vitamin B12 is all , EXCEPT:-
1. Both are required for DNA synthesis
2. Recommended daily allowances for Folic acid is 1000 micro grams
3. Vegetarians have vitamin B12 deficit
4. Deficiency of both causes megaloblastic anemia

Correct answer: 2. Recommended daily allowances for Folic acid is 1000 micro grams

Explanation: Ans. is 'b' i.e., Recommended daily allowances for Folic acid is 1000 micro grams Recommended daily allowances of folic acid are:a) Healthy adults-100 micro gm. (meg)b) Pregnancy -400 megc) Lactation* -150 megd) Children* -100 megSources of folic acid :The name folic acid comes from the Latin word Folia (-leaf) but food such as liver, meat, dairy product ,eggs, milk , fruits and cereals are as good dietary sources as leafy vegetables.Sources of vit. B12 :Liver, Kidney,* Meat,* Fish,* Eggs, Milk* and cheese.vit. B12 is not found in foods of vegetable origin*It is also synthesized by bacteria in colon. *